NACO launched national pediatric initiative on
1. 2nd October 2005
2. 30th November 2006
3. 30th October 2008
4. 2nd November 2010

Correct answer: 2. 30th November 2006

Explanation: NACO pediatric HIV/AIDS initiative The National Paediatric HIV/AIDS Initiative launched on November 30, 2006 by Hon'ble Chairperson UPA Smt. ... Mr William J Clinton, former President of the United States of America, was a landmark initiative, for now children living with HIV/AIDS would be able to access generic drugs, ART and support services Launch Highlights * Phase I of the programme aims to put 10,000 children on ART treatment for life. * Initially 36 ART centres to provide free ART to children. * Seven Regional Paediatric Centres being established across the country. * Free CD4 monitoring for children till 15 years, free DNA PCR test for children upto 18 months, liquid formulations for babies, diagnosis and treatment of opportunistic infections and micro nutrient supplementation will be provided. * The National Paediatric Anti- retroviral Therapy (ART), Treatment and Dosing Guidelines developed by IAP with support from WHO, UNICEF and Clinton Foundation released. Ref : naco.gov.in